Antihypertensive which can be used in patients with gout and diabetic mellitus is
1. Thiazide
2. Enalapril
3. Propanolol
4. Diazoxide

Correct answer: 2. Enalapril

Explanation: Refer kDT 6/e p551 Enalapril, sold under the brand name Vasotec among others, is a medication used to treat high blood pressure, diabetic kidney disease, and heart failure. For heart failure, it is generally used with a diuretic, such as furosemide. It is given by mouth or by injection into a vein. Onset of effects are typically within an hour when taken by mouth and last for up to a day